Changing in pitch of the sound is produced by which muscle -
1. Posterior cricoarytenoids
2. Lateral cricoarytenoids
3. Cricothyroid
4. Vocalis

Correct answer: 3. Cricothyroid